Microstructure of cobalt chromium alloy in cast
condition is
1. fibrous
2. homogeneous
3. inhomogeneous
4. amorphous

Correct answer: 3. inhomogeneous